All can cause serotonin increase except:
1. MDMA
2. Amphetamine
3. Fluoxetine
4. LSD

Correct answer: 4. LSD

Explanation: Stimulant drugs commonly abused in the USA include methamphetamine (crank, crystal) methylenedioxymethamphetamine (MDMA, ecstasy) act's to increase 5HT. SSRI like fluoxetine and paroxetine increase serotonin level and can lead to excessive serotonin response when administered with other serotonergic drug like MAOIs. LSD act on 5HT serotonin receptor but does not increase serotonin level.